Which of the following infection agent lacks RNA?
1. Virus
2. Staphylococci
3. Prions
4. Cryptococcus

Correct answer: 3. Prions

Explanation: Ans. c. Prions